Action of renin:
1. Erythropoiesis
2. Contols secretion of melatonin
3. Converts angiotensinogen to angiotensin I
4. Converts angiotensinogen Ito angiotensinogen II

Correct answer: 3. Converts angiotensinogen to angiotensin I

Explanation: Ans. C i.e. Converts angiotensiogenogen to angiotensin I Renin/Angiotensinogenase It is an enzyme that participates in the body's renin-angiotensin system (RAS) -- also known as the renin-angiotensinaldosterone axis--that mediates extracellular volume (i.e., that of the blood plasma, lymph and interstitial fluid), and arterial vasoconstriction. Thus, it regulates the body's mean arterial blood pressure. The renin enzyme circulates in the blood stream and breaks down (hydrolyzes) angiotensinogen secreted from the liver into the peptideangiotensin I. Angiotensin I is further cleaved in the lungs by endothelial-bound angiotensin-converting enzyme (ACE) into angiotensin II, the most vasoactive peptide.